Hegar sign is seen earliest at:
1. 8 weeks
2. 12 week
3. 14 week
4. 15 week

Correct answer: 1. 8 weeks

Explanation: Ans. (a) 8 weeksRef. D. C Dutta 7th Ed. /65The pelvic changes during pregnancy are divers and appear different at different periods:SignsAt AOGPalmer's sign: Regular and rhythmic uterine contraction4-8 weeksVaginal sign: softened vaginal wall with copious mucoid discharge6th weekGoodell's sign: cervix feels soft and congested6th weekHegar's sign: uterus is enlarged and soft; cervix empty.6-10 weeksOsiander sign: increased pulsation at lateral fornices8th weekChadwick's sign or Jacquemier's sign: dusky hue of the vestibule and anterior vaginal wall (due to local vascular congestion)8th weekPiskacek's sign: asymmetrical enlargement of the uterus if there is lateral implantation12th week